Stria vascularis are seen in
1. Vestibule
2. Utricle
3. Cochlea
4. Middle ear

Correct answer: 3. Cochlea

Explanation: Ans. (c) CochleaRef: Dhingra's ENT 5th ed. /12* Upon taking the section of cochlea, we see 3 compartments and 3 membranes:# Scala vestibuli: contains perilymph# Scala media: contains endolymph# Scala tympani: contains perilymph* 3 membranes are:# Reissner's membrane: separates scala vestibule from scala media.# Basilar membrane: separates scala tympani from scala media. Also supports organ of corti.# Stria vascularis: on the wall of scala media. Converts perilymph into endolymph.